Visceral leishmaniasis is caused by -
1. L-braziliensis
2. L. tropica
3. L. donovani
4. L-orientalis

Correct answer: 3. L. donovani

Explanation: Ans. is 'c' i.e., L. donovani * Visceral leishmaniasis (Kala azar)* Cutaneous Leishmaniasis- L. donovania) Oriental soreb) Mucocutaneous leishmaniasis (Espundia)- L. tropica- L. brasiliensis